Vitamin K is involved in post translation modification of which of the following aminoacids?
1. Glutamate
2. Aspartate
3. Lysine
4. Proline

Correct answer: 1. Glutamate

Explanation: Vitamin K is a cofactor required for the gamma carboxylation of glutamic acid. Ref: Textbook of Biochemistry by D.M Vasudevan3rd edn/page 267